The crystalline lens derives its nourishment from -
1. Blood vessels
2. Connective tissue
3. Aqueous and vitreous
4. Zonules

Correct answer: 3. Aqueous and vitreous

Explanation: The crystalline lens, being avascular structure is dependent for its metabolism on chemical exchanges with the aqueous humour. Some nutrition is also derived from the vitreous humour, but it is much less than that derived from aqueous humour.